In celiac sprue which vitamin deficiency is least likely ?
1. Vitamin A
2. Vitamin B12
3. Folic acid
4. Iron

Correct answer: 2. Vitamin B12

Explanation: Celiac disease - The proximal part of the gut > distal part. Hence vitamin B12 levels are rarely ever low. Due to maximum damage to duodenum and jejunum iron and folic acid deficiency is common Vitamin A deficiency can develop in celiac disease on account of steatorrhea.